Nullipara means:
1. Never completed a pregnancy to the stage of viability
2. 1 child with other dead
3. In labor
4. More than 3 childs

Correct answer: 1. Never completed a pregnancy to the stage of viability

Explanation: Ans. A i.e. Never completed a pregnancy to the stage of viability